Clover Leaf Skull is seen in
1. Chiari Malformation
2. Thanatophoric Dysplasia
3. Eosinophilic Granuloma
4. Multiple Myeloma

Correct answer: 2. Thanatophoric Dysplasia

Explanation: Clover Leaf Skull is seen in Thanatophoric dysplasia type II, premature closure of saggital, coronal and lambdoid sutures causing severe craniosynotosis giving rise to trilobate shape of skull. Luckenschadel skull or Lacunar Skull is seen in Chiari II malformations. Geographical skull is seen in Eosinophilic Granuloma. Rain Drop Skull is seen in Multiple Myeloma.